A patient diagnosed with malaria had fever periodicity of 72 hours. Organism implicated is
1. P. falciparum
2. P. vivax
3. P. ovale
4. P. malariae

Correct answer: 4. P. malariae

Explanation: CharactersP.falciparumP.vivaxP.malariaeP.ovaleDisease pattern Malignant malaria Benign tertian malaria Quartan malaria Ovale tertian malaria Incubation period12 days14 days20 days14 daysNo of merozoites released per infected hepatocyte 30,00010,00015,00015,000Duration of erythrocytic cycle 48 hours 48 hours 72 hours 48 hours Red cell preference Young RBCRBC up to 14 days old Older RBCsReticulocytes Pigment colour Black Yellow brown Brown black Dark brown Relapse ( Hypnozoites )Absent Present Absent Present Recrudescence Present Absent Present Absent (Ref: K.D Chatterjee 13th edition, p196-198)